Inspiratory depth is halted by
1. Pneumotaxic centre
2. Apneustic centre
3. Inspiratory centre
4. Expiratory centre

Correct answer: 1. Pneumotaxic centre

Explanation: The pneumotaxic center, also known as the pontine respiratory group (PRG), is a network of neurons in the rostral dorsal lateral pons. It consists of the subparabrachial nucleus and the medial parabrachial nucleus. It is considered an antagonist to the apneustic center, which produces abnormal breathing during inhalation. It limits inspiration. Ref: guyton and hall textbook of medical physiology 12 edition page number:370,371,372